Which of the following fluoroquinolones does not require dose adjustment in a patient with creatinine clearance of < 50 mg/min?
1. Ciprofloxacin
2. Trovafloxacin
3. Lomefloxacin
4. Sparfloxacin

Correct answer: 2. Trovafloxacin

Explanation: Ans. (B) Trovafloxacin(Goodman & Gilman 11/e p1121)Fluoroquinolones safe in renal failure are:P - PefloxacinM - MoxifloxacinT - Trovafloxacin